Which of the following drugs should be removed by dialysis ?
1. Digoxin
2. Salicylates
3. Benzodiazepines
4. Organophosphates

Correct answer: 2. Salicylates

Explanation: - All other given options except salicylates are widely distributed in the body whereas salicylates stay in the blood. So it needs to be removed by dialysis.